NALGONDA technique' is used in -
1. Enedmic-fluorosis
2. Epidemic-dropsy
3. Endemic-ascites
4. Neurolathyrism

Correct answer: 1. Enedmic-fluorosis

Explanation: The National Environmental Engineering Research Institute Nagpur developed a techniwue for removing flouride by chemical treatment. it is called Nalgonda techniqueREF.PARK'S TEXTBOOK OF PREVENTIVE AND SOCIAL MEDICINE.Editon-21.Page no.-596